A 40 years old hairy male, who is in army presented to OPD with complaints of serous discharge and discomfort from gluteal region. He gave history of abscess also in the same area 2 years back. Which of the following are used as treatment option for this condition?
1. Limberg's flap
2. Karydakis flap & rhomboid flap
3. Bascom's procedure
4. All of the above

Correct answer: 4. All of the above

Explanation: Hairy male Army Serous discharge Pilonidal sinus Pilonidal sinus - Acquired - M/C in hairy males, Army personnel - Cyst in - Post-natal cleft region - Cyst - Contains hair - Sinus - Abscess formation due to tract blockage - Hair follicles have not seen in the walls of the sinus. - The hairs projecting from the sinus are dead hairs, with their pointed ends directed towards the blind end of sinus. Management Surgical treatment of chronic pilonidal disease - Laying open of all tracks with or without marsupialisation - Excision of all tracks with or without primary closure - Excision of all tracks & closure by Limberg's flap, Karydakis flap or rhomboid flap - Bascom's procedure: Incision lateral to the middle to gain access to the sinus cavity, which is rid of hair & granulation tissue and excision & closure of midline pits. The lateral wound is left open.